Fixed and wide splitting of second heart sound is characteristic of-
1. VSD
2. ASD
3. PDA
4. Fallot's tetralogy

Correct answer: 2. ASD

Explanation: In ASD Examination Usually reveals a prominent RV impulse and palpable pulmonary artery pulsation. Midsystolic pulmonary outflow murmur. The second heart sound is widely split and is relatively fixed in relation to respiration. A mid-diastolic rumbling murmur, loudest at the fourth intercostal space and along the left sternal border Electrocardiogram In ostium primum ASD, the RV conduction defect is accompanied by left superior axis deviation and counterclockwise rotation of the frontal plane QRS loop. Varying degrees of RV and right atrial (RA) enlargement or hypertrophy may occur (Harrison's Principles of internal medicine, 18 th edition, page 1922 )